All of the following syndromes are associated with AML except -
1. Down's syndrome
2. Klinefelter's syndrome
3. Patau syndrome
4. Turner's syndrome

Correct answer: 4. Turner's syndrome

Explanation: Ans. is 'D' i.e., Turner's syndrome Risk Factors of AML: Genetic disorders :Down syndrome ,Klinefelter syndrome ,Patau syndrome ,Ataxia telangiectasia, Shwachman syndrome ,Kostman syndrome, Neurofibromatosis ,Fanconi anemia ,Li-Fraumeni syndrome Physical and chemical exposures: Benzene Drugs such as pipobroman, Pesticides ,Cigarette smoking, Embalming fluids. Herbicides. Radiation exposure :Nontherapeutic, therapeutic radiation Chemotherapy :Alkylating agents ,Topoisomerase-II inhibitors, Anthracyclines, Taxanes